In oxyhemoglobin dissociation curve, the 95°/a
oxygen saturation corresponds __________ oxygen
tension in arterial blood
1. 80 mm Hg
2. 90 mm Hg
3. 60 mm Hg
4. 70 mm Hg

Correct answer: 1. 80 mm Hg